Strawberry vagina is seen in-
1. Candida albicans
2. H. vaginalis
3. Syphilis
4. Trichomonas vaginalis

Correct answer: 4. Trichomonas vaginalis

Explanation: Ans. is 'd' Trichomonas vaginalis (Ref : Shaws, 13/e, p 125 (12/e, p97))Punctuate strawberry spots on vaginal vault are characteristics of Trichomonas infection.Other important facts about Trichomonas.It is a sexually transmitted disease.Discharge is frothy and green* in colour.It is the most common* form of vaginitis.Treatment is metronidazole*.